lesion producing incongrous Homonymous Hemianopia with Wernicke's Hemianopia pupil
1. Optic tract
2. Visual cortex
3. Optic radiation
4. Optic Nerve

Correct answer: 1. Optic tract

Explanation: ref : ak khurana 7th ed